Most common presentation of Meckels diveculum?
1. Lower GI bleeding
2. Upper GI bleeding
3. Diarrhorea
4. Abdominal pain

Correct answer: 1. Lower GI bleeding

Explanation: .Presentations in Meckel's Diverticulum * Asymptomatic - in majority cases. * Severe haemorrhage most common, seen in children aged 2 years or younger (Maroon coloured blood). * Intestinal obstruction due to bands/adhesions/ intussusception. * Perforation. * Intussusception, volvulus of small bowel. * Peptic ulceration. * Diverticulitis--features mimic acute appendicitis. * Littre's hernia--It is presence of Meckel's diverticulum in hernial sac as content. It is observed in inguinal/femoral hernia. * Silent Meckel's diverticulum found during laparotomy or laparoscopy or by radioisotope study. * Carcinoid or GIST can occur in Meckel's diverticulum. ref:SRB's manual of surgery,ed 3,pg no 798